True in Asthma:
1. Increased FRC Reduced Residual Volume
2. Increased FRC Increased Residual Vol
3. Reduced FRC Reduced Residual Volume
4. Reduced FRC Increased Residual Volume

Correct answer: 2. Increased FRC Increased Residual Vol

Explanation: Ans. B- Increased FRC Increased Residual VolDiseases that REDUCE compliancea. Fibrosisb. Pulmonary hypertension/congestionc. Alveolar atelectasisd. Reduced surfactant (increased surface tension) e.g. artificial ventilation, prematurityDiseases that INCREASE compliance:a. Pulmonary emphysema (alteration in elastic tissue) > static compliance is Increased but dynamic compliance is reduced.b. Normal ageing (alteration in elastic tissue)c. Asthma (reason unknown).